Barbiturate precipitates symptoms of porphyria
because
1. they induce ALA synthase
2. they inhibit ALA synthase
3. they induce heme oxygenase
4. they inhibit heme oxygenase

Correct answer: 1. they induce ALA synthase